An athletic male with itchy lesion at groin as shown below, causative agent can be all EXCEPT:
1. Trichophyton
2. Microsporum
3. Epidermophyton
4. Aspergillus

Correct answer: 4. Aspergillus

Explanation: Ans. d. AspergillusThe itchy lesion in picture is a typical dermatophyte infection, and its known Jock's itch or Tineacruris. It is also known as Dhobi's itch. Since it is a dermatophyte infection, it cannot be caused by Aspergillus.